Associated with obstructive sleep apnea are all of the following except:
1. Acromegaly
2. Obese
3. Males
4. Protruding jaw

Correct answer: 4. Protruding jaw

Explanation: Ans. D: Protruding jaw Predisposing factors to the sleep apnea/ hypoapnea syndrome include being male, which doubles the risk probably due to a testosterone effect on the upper airway, and obesity, found in about half of the patients, because parapharyngeal fat deposits tend to narrow the pharynx. Nasal obstruction or a recessed mandible can further exacerbate the problem Acromegaly and hypothyroidism also predispose by causing submucosal infiltration and narrowing of the upper airway